A 45 year old male presents to OPD with acute abdominal pain. On examination it seems to have spread to retroperitoneal structure. Which of the following is most likely to get affected
1. Stomach
2. Transverse colon
3. Jejunum
4. Descending colon

Correct answer: 4. Descending colon

Explanation: The descending colon is a retroperitoneal organ. The rest of the organs are surrounded by peritoneum. Other retroperitoneal organs are: - Pancreas, Duodenum, Ascending colon, Descending colon, Middle third of the rectum